Mechanism of action of pralidoxime is
1. Stimulation ofACh receptor
2. Inhibition of breakdown ofACh
3. Blockade of ACh receptors
4. Reactivation of AChE enzyme

Correct answer: 4. Reactivation of AChE enzyme

Explanation: Refer kDT 6/e p105, katzung 12e p116 pralidoxime and diacetyl monoxime Arey cholinesterase Re generator compounds used for organophosphorus poisoning